Which of the following is not seen during leucopoiesis:
1. Myeloblast.
2. Normoblast.
3. Myelocyte.
4. Metamyelocyte.

Correct answer: 2. Normoblast.

Explanation: Normoblasts are seen during erythropoiesis.